Commonest calcifying brain tumor in a child is:
1. Medulloblastoma
2. Craniopharyngioma
3. Glioma
4. Meningioma

Correct answer: 2. Craniopharyngioma

Explanation: B i.e. Craniopharyngeoma